Child Turcotte Pugh score is used in
1. Chronic liver disease
2. Chronic kidney disease
3. Hepatic encephalopathy
4. Uremic encephalopathy

Correct answer: 1. Chronic liver disease

Explanation: Ans. (a) Chronic Liver DiseaseRef: Bailey and Love 27th Edition Page 1156Quantifying the severity of Chronic Liver disease:To assess the severity and perioperative risk of patients with CLD- two scoring systems are used:1. Child Turcotte - Pugh (CTP) score2. Model for End Stage Liver Disease (MELD) Score* The original Child classification was developed to predict mortality following Shunt operations in Cirrhotic cases.* Modified CTP score predicts mortality after any surgery* MELD was actually developed to see prognosis after TIPS but later adopted to make waiting list for liver transplant.